The following is true about the term 'New Families' –
1. It is a variant of the 3-generation family
2. It is applied to all nuclear families of less then 10 years duration
3. It is a variant of the joint family.
4. It is applied to all nuclear families of less then 2 years duration

Correct answer: 2. It is applied to all nuclear families of less then 10 years duration

Explanation: The term new family has recently come into vogue, it applies to all nuclear families which are less than 10 years of duration.